MHC II is present on
1. Platelets
2. RBC
3. Macrophages
4. Endothelial cells

Correct answer: 3. Macrophages

Explanation: MHC I is present on all nucleated cells and platelets.
MHC is present on immune cells like Macrophage, Langerhans cells, B cells.